Methyl methacrylate used in dentistry is a
1. Thermoset resin,but used by thermoplastic
2. Thermoplastic resin, but used by thermoset means
3. Thermoplastic resin, but used by thermoplastic means
4. Thermoset resin,used by thermoset means only

Correct answer: 2. Thermoplastic resin, but used by thermoset means